Motor aphasia refers to defect in:
1. Peripheral speech apparatus
2. Verbal expression
3. Auditory comprehension
4. Verbal comprehension

Correct answer: 2. Verbal expression

Explanation: Answer is B (Verbal expression): Motor aphasia also known as expressive aphasia is a disorder of thought and word finding resulting in inadequate verbal expression. * Defect in hearing: Deafness * Defect in understanding: Receptive aphasia / Sensory aphasia * Defect in thought and word finding: Motor / Expressive aphasia * Defect in voice production: Dysphonia * Defect in articulation: Dysarthric